What is not true about valid consent -
1. Obtained in presence of two witness
2. Use technical jargon
3. Should not be obtained with for force, fear or fraud
4. True information to be given freely

Correct answer: 2. Use technical jargon

Explanation: Consent is voluntary permission or agreement. It should be in simple words. It should be taken in presence of two witnesses. It should be free and voluntary. ref : Dr. K. S. Narayan Reddys Synopsis of Forensic Medicine & Toxicology 27th edition pg. 26.